All IgG are responsible are coagglutination by bind to S.Aureus protein-A except
1. IgG1
2. IgG2
3. IgG3
4. IgG4

Correct answer: 3. IgG3

Explanation: IgG3 not responsible for Coagglutination.